Stratified squamous epithelium is seen in all of the following EXCEPT
1. Vagina
2. Skin
3. Gall bladder
4. Tongue

Correct answer: 3. Gall bladder

Explanation: Stratified squamous epithelium is seen in skin and all the openings since it is protective It is present in skin, vagina and in tongue but not in gall bladder which is lined by simple columnar epithelium with microvilli